Treatment for brown tumor is
1. Curettage
2. Surgical enucleation
3. Intralesional steroids
4. Parathyroidectomy

Correct answer: 4. Parathyroidectomy